In which leukemia, autoimmune hemolytic anemia is most common -
1. ALL
2. AML
3. CML
4. CLL

Correct answer: 4. CLL

Explanation: Autoimmune hemolytic anemia may occur as a complication of chronic lymphocytic leukemia.About 20% of cases of CLL develop a coomb's positive autoimmune hemolytic anemia.This is due to the presence of warm antibodies (Ig G) that coat RBC's that are reactive at room temperature .Red cells coated with Ig G along with C3 on its surface further promote red cell-leucocyte interaction ,accounting for more severe hemolysis.

Harsh mohan textbook of pathology sixth edition pg no 312.